The longest duration of action of insulin preparation is obtained with
1. Crystal zinc insulin
2. Insulin zinc suspension (Semilente)
3. Protamine zinc insulin
4. Isophane insulin

Correct answer: 3. Protamine zinc insulin

Explanation: (Refer Q 17)